True about Rest is:
1. Provides vertical support
2. Should always be located on properly prepared tooth surface
3. Rest are designated by the surface of the tooth prepared to receive them
4. All of the above

Correct answer: 4. All of the above

Explanation: Any component of a partial denture on a tooth surface, that provides vertical support is called rest.
Rests should always be located on properly prepared tooth surfaces. 
The prepared surface of an abutment to receive the rest is called the rest seat.
Rests are designated by the surface of the tooth, prepared to receive them (occlusal rest, lingual rest, and incisal rest).